For viewing superior orbital fissure best view is:
1. plain AP view
2. Caldwell view
3. Towne view
4. Basal view

Correct answer: 2. Caldwell view

Explanation: superior orbital fissure can be seen by caldwell and water's view. Ref Dhingra 6/e,p 434